Not true about plummer vinson syndrome is -
1. Occurs in elderly males
2. Post cricoid Web
3. Predispose to hypopharynx malignancy
4. Koilonychia

Correct answer: 1. Occurs in elderly males